Which among the following used as a pre-anaesthetic medication causes the longest amnesia?
1. Diazepam
2. Lorazepam
3. Midazolam
4. Flunitrazepam

Correct answer: 2. Lorazepam

Explanation: The longest amnesia is produced by lorazepam although half-life of lorazepam (15 hours) is shorter than diazepam (36 hours) and this is probably because of its strong receptor binding potential.